Tocopherols are the derivatives of
1. Isoprenoid ring
2. Tocol
3. Sterol
4. Ribitol

Correct answer: 2. Tocol

Explanation: Active vitamine E was isolated from wheat germ oil and named tocopherolA chromane ring(tocol) system with an isoprenoid side chain is present in all naturally occurring tocopherols.Vitamine K is naphthoquinone derivative with a long isoprenoid side chain.Reference: DM Vasudevan biochemistry page no: 460